Curlings ulcer is seen in -
1. Burn patients
2. Patients with head injuries
3. Zollinger Ellison syndrome
4. Analgesic drug abuse

Correct answer: 1. Burn patients